Normal facial index is:
1. 65 - 75%
2. 75 - 80%
3. 80 - 90%
4. 100%

Correct answer: 3. 80 - 90%